HLA is present on –
1. Short arm of chromosomes 6
2. Short term of chromosomes 3
3. Long arm of chromosomes 3
4. Long arm of chromosomes 6

Correct answer: 1. Short arm of chromosomes 6

Explanation: o HLA complex (MHC) gene is located on the short arm of chromosome 6.
o The histocompatibility antigens (human leukocyte antigens - HLA) are cell surface antigens that induce
an immune response leading to the rejection of allografts.
o The principal physiologic function of the cell surface histocompatibility molecules is to bind peptide
fragments of foreign proteins for presentation to antigen-specific T cells.
o The histocompa